A patient is brought to the emergency with history of trauma to his right upper limb. Extension of metacarpophalangeal is lost. There is no wrist drop and extension of IP joint is normal. The most likely nerve involved is :
1. Ulnar nerve
2. Median nerve
3. Radial nerve
4. Posterior - interosseous nerve

Correct answer: 4. Posterior - interosseous nerve

Explanation: When posterior interosseous nerve is injured, there is thumb and finger drop. Extension of wrist is spared.